Campylobacter culture media are -a) Schaedler's agarb) CVA mediumc) Regan-Lowe mediumd) Skirrow mediume) Campylobacter blood agar
1. abc
2. bde
3. ace
4. bce

Correct answer: 2. bde